A 10 years old female patient diagnosed as a case of
down's syndrome having mosaicism variety.

Often IQ of such patients lie in the range of:
1. IQ 140-170
2. IQ 120-139
3. IQ 110-119
4. IQ 25-50

Correct answer: 4. IQ 25-50

Explanation: General manifestations of Down’s Syndrome Skull
a. Brachycephalic (round) skull resulting in a flattened face and occiput.
b. Presence at birth of third fontanelle. Just anterior to the posterior fontanelle.
c. Flat nasal bridges with a small maxilla.
Eyes
a. Oblique palpebral fissures with prominent epicanthic folds.
b. Brushfield’s spots appear on the iris in a ring concentric with the pupil.
c. Scanty eyelashes. 
d. Cataracts, squint and nystagmus are common.
Ears
Dysplastic ears with abnormal pinna.
Neck
Short and broad with excess skin posteriorly
Hands
a. Broad and short (clinodactyly) with a single transverse palmar crease (simian crease).
b. Short incurved little finger.
c. Multiple loops on finger tips.
Muscles And Joints
Hypotonicity and hyperextensibility.
IQ
Often severely retarded with an IQ of 25-50.
Paediatric Dentistry / Shobha Tandon - 2nd Ed  P: 539,540